Which of the following forms of penumoconiosis is associated with an increased susceptibility to tuberculosis?-
1. Asbestosis
2. Silicosis
3. Coal worker
4. Stannosis

Correct answer: 2. Silicosis

Explanation: question repeated ilicosis (previously miner's phthisis, grinder's asthma, potter's rot and other occupation-related names) is a form of occupational lung disease caused by inhalation of crystalline silica dust, and is marked by inflammation and scarring in the form of nodular lesions in the upper lobes of the lungs. It is a type of pneumoconiosis. Silicosis (particularly the acute form) is characterized by shortness of breath, cough, fever, and cyanosis (bluish skin). It may often be misdiagnosed as pulmonary edema (fluid in the lungs), pneumonia, or tuberculosis.